Cephalosporin causing thrombocytopenia is ?
1. Cefixime
2. Ceftazidime
3. Cefoperazone
4. Cefdinir

Correct answer: 2. Ceftazidime

Explanation: Ans. is 'b' i.e., Ceftazidime Adverse effects of cephalosporins Hypersensitivity reaction - It is the most usual side effect. There is cross allergy between penicillins and cephalosporine in 5-10% of cases. Diarrhea - due to alteration of gut flora, maximum with oral cephradine and parentral cefperazone (cefperazone is significantly excreted in bile) - May cause pseudomembranous colitis caused by Cl. difficle. Superinfection - Most common organisms are candida and pseudomonas, less common are staphylococci, proteus. Ceftriaxone achieves high concentration in bile and, as the calcium salt, may precipitate to cause symptoms resembling cholelithiasis (Biliary pseudolithiasis). Nephrotoxicity - highest with cephaloridine. Bleeding - ceftriaxone, cefoperazone, moxalactam & cefamandole can cause hypoprothrmbinemia and bleeding. Disulfiram like reaction - cefamandole, cefoperazone, moxalactam and cefotetan can cause disulfiram like reaction with alcohol. Neutropenia and thrombocytopenia can be caused by ceftazidim.